The main ingredient of inlay wax is:
1. Candelilla wax
2. Paraﬃn wax
3. Carnauba wax
4. Gum dammar

Correct answer: 2. Paraﬃn wax